Which of the following should arouse concern in a parent in regards to development ___________
1. Mouthing at 6 months of age
2. Fisting hand at 5 months
3. Drooling of saliva at 9 months
4. Casting objects at 1 year

Correct answer: 2. Fisting hand at 5 months

Explanation: This instinct to grasp is a reflex, and it's at its strongest for the first eight weeks of your baby's life. This reflex will have gone by the time she is three months. Your baby's hands will mostly be clenched in a fist during her first couple of months. Ref : Nelson paediatrics Chapter : Growth and deve